The mesentery of small intestine, along its attachment to the posterior abdominal wall, crosses all of the following structures except
1. Left gonadal vessels
2. Third part of duodenum
3. Aorta
4. Right ureter

Correct answer: 1. Left gonadal vessels

Explanation: The root of mesentery lies on the right side of abdominal cavity and crosses right gonadal vessels (not left). The root of the mesentery lies along a line running diagonally from the duodenojejunal flexure on the left side of the second lumbar vertebral body to the right sacroiliac joint. It crosses over the third (horizontal) part of the duodenum, aorta, inferior vena cava, right ureter, right gonadal vessels and right psoas major. It does not cross the left ureter, left gonadal vessels or superior mesenteric artery. Contents of the mesentery include: Superior mesenteric vessels (jejunal and ileal branches) Nerves related to the superior mesenteric plexus Lymphatics and regional lymph nodes Connective tissue and fat